Drug of choice for MDP is:
1. Lithium
2. Diazepam
3. Olanzapine
4. Carbamazepine

Correct answer: 1. Lithium